Steatorrhea associated with Giardia infection is seen in which immunoglobulin deficiency ?
1. IgE
2. IgA
3. IgG
4. IgM

Correct answer: 2. IgA

Explanation: IgA is the secretory antibody prevent gut infection if IgA level are low predispose to Giardia infection. - IgA1 - present in serum - Ig A2 - present in mucosal surface & body secretions